False about trans fatty acid
1. Increase risk of cardiovascular disease
2. Fried foods have high content of TFA
3. Hydrogenation increases TFA
4. Hydrogenation decreases TFA

Correct answer: 4. Hydrogenation decreases TFA

Explanation: Trans fatty acids (TFA) are atherogenic. They lower HDL level and elevate LDL level. TFA is present in dairy products and hydrogenated edible oils. It is widely used in the food industry since it increases the shelf life of fried food. Cooking media containing PUFA and fast food preparations have a high content of trans fatty acids. Trans fatty acids adversely affect endothelial function and aggravate insulin resistance and diabetes. It is high in processed foods and bakery products, where hydrogenated vegetable oils are used for cooking.Ref: DM Vasudevan - Textbook of Biochemistry, 6th edition, page no: 437